Antemortem blister differs from postmortem blister by -
1. Presence of Albumin & Chloride in blister fluid
2. Gas in blister
3. Dry hard surface of the floor of blister (Punctured)
4. Absence of hyperemia around the blister

Correct answer: 1. Presence of Albumin & Chloride in blister fluid